Maximum coverage to distribute forces over a wide area
1. Snows shoe effect
2. Bezold-Brucke effect
3. Realeff effect
4. Spectral curve

Correct answer: 1. Snows shoe effect